Anaesthesia breathing circuit recommended for spontaneous breathing is
1. Mapleson A
2. Mapleson B
3. Mapleson C
4. Mapleson D

Correct answer: 1. Mapleson A

Explanation: TypeA or Magills circuit is used in Spontaneous ventilation. Type D is used in controlled ventilation. TypeB and Type C are obselete nowadays